A characteristic feature of Paget's cells is -
1. Eosinophilic cytoplasm
2. Abundant clear cytoplasm
3. Glycogen mass
4. Multinucleated giant cell

Correct answer: 2. Abundant clear cytoplasm

Explanation: Paget's cells are large and have abundant clear or lightly staining cytoplasm and nuclei with prominent nucleus.